Which of the following is included in auditory pathway:-
1. Medial lemniscus
2. Lateral geniculate body
3. Inferior olivary complex
4. Inferior colliculus

Correct answer: 4. Inferior colliculus

Explanation: The auditory pathway - (mnemonic - SLIM 41, 42) S - superior olivary nucleus L - lateral lemniscus I - inferior colliculus M - medial geniculate body 41, 42 - area 41, 42 in superior temporal gyrus.